In heterochromic cyclitis –
1. 60% of patients develop glaucoma
2. Show a good response when treated with steroids
3. Lens implantation following cataract surgery is contraindicated
4. Hyphaema during cataract surgery is due to iris neovascularization

Correct answer: 4. Hyphaema during cataract surgery is due to iris neovascularization

Explanation: Fuch's heterochromic iridocyclitis (Fush's uveitis syndrome) 

It is a form of anterior and intermediate uveitis.
The condition is usually unilateral and chronic in nature and is characterized by a chronic non-granulomatous uveitis and eventually results in iris heterochrontia (a change in the colour of iris).

The disease has the following characteristic features :

Heterochrornia of iris.
Diffuse stromal iris atrophy Fine KPs at the back of the cornea.
Faint aqueous flare.
The absence of posterior synechiae.
A fairly common rubeosis iridis, sometimes associated with neovascularisation of the angle of the anterior chamber.
Comparatively early development of complicated cataract and secondary glaucoma (usually open-angle type). Glaucoma has been reported in 10-59% of cases.

Treatment

Fuch's heterchromic uveitis responds variably to steroids and cycloplegics. The complications of long-term use of these drugs may at times outweigh their potential benefits. Therefore, treatment with topical steroids is given to iritis which is sufficiently active to require the treatment, otherwise, the patient is routinely followed without giving any treatment.
Cataract responds well to most forms of intraocular surgeries, including the standard IOL implantation. Hyphentia may occur because of rubeosis iridis (neovascularization of iris).
Glaucoma control may be somewhat more problematic, with surgical options indicated for later forms of the disease.